The fascia of Waldeyer belongs to
1. Fascia of the pelvic wall to anorectal junction
2. Fascia of the pelvic floor
3. Fascia of the pelvic viscera
4. None of the above

Correct answer: 1. Fascia of the pelvic wall to anorectal junction

Explanation: The presacral fascia or Waldeyer's fascia, lines the anterior aspect of the sacrum, enclosing the sacral vessels and nerves. It continues anteriorly as the pelvic parietal fascia, covering the entire pelvic cavity. These two fascias are in fact, separate anatomical entities. image ref - coloproctol.org